Gene associated with superficial papillary urothelial neoplasm
1. p53
2. p16
3. p7
4. KRAS

Correct answer: 2. p16

Explanation: Answer- B. p16Chromosome deletions in 9p, which contains the tumor suppressor gene p16, are the only consistent finding in low grade papillary tumors and flat carcinomas in situ. Deletions in 17 p, the site of p53 gene, are often found in invasive bladder cancer.